Most common cause of UTI in pregnancy:
1. Proteus mirabilis
2. Group B b haemolytic streptococcus
3. E. coli
4. Klebsiella

Correct answer: 3. E. coli

Explanation: Ans. C. E. colia. Urinary tract infections are more concerning in pregnancy due to the increased risk of kidney infections.b. During pregnancy, high progesterone levels elevate the risk of decreased muscle tone of the ureters and bladder, which leads to a greater likelihood of reflux, where urine flows back up the ureters and towards the kidneys.c. While pregnant women do not have an increased risk of asymptomatic bacteriuria, if bacteriuria is present, they do have a 25-40% risk of a kidney infection.d. Thus if urine testing shows signs of an infection--even in the absence of symptoms--treatment is recommended. Cephalexin or nitrofurantoin are typically used because they are generally considered safe in pregnancy. A kidney infection during pregnancy may result in premature birth or pre-eclampsia (a state of high blood pressure and kidney dysfunction during pregnancy that can lead to seizures).e. E coli is the most common cause of urinary tract infection (UTI), accounting for approximately 80-90% of cases. It originates from fecal flora colonizing the periurethral area, causing an ascending infection.